All are true about temporal arteritis except
1. Can leads to sudden bilateral blindness
2. More common in females
3. Worsen on exposure to heat
4. Mostly affects elderly

Correct answer: 3. Worsen on exposure to heat

Explanation: Worsens on exposure to heat Tempral arteritis worsen's on exposure to cold: ? - Temporal arteritis does not worsen on exposure to heat. "Infact, the headache worsens on exposure to cold" - Worsening on exposure to heat occurs in Multiple sclerosis (Uh- thoff's symptoms) Multiple sclerosis shows heat sensitivity, it refers to neurological symptoms produced by an elevation of the bodys core temperature. For example, unilateral visual blurring may occur during a hot shower or with physical exercise (Uhthoff'symptoms). It is also common for MS symptoms to worsen transiently sometimes dramatically during .febrile illness. Can lead to sudden 13/1 blindness -Visual symptoms are common in temporal arteritis especially loss of vision and diplopia. - Vision loss can he unilateral or less commonly b/1, transient or permanent and partial or complete. - Loss of vision often reflects an anterior ischemic optic neuropathy caused by occlusive arteritis of posterior ciliary artery, the chief blood supply of the head of the optic nerve. - Less frequently vision loss in GCA occurs due to retinal artery occlusion. - Regardless of the site of the culprit lesion vision loss in GCA is usually profound with more than 80% of patients unable to see hand waving. - "A significant proportion of patient presents with visual loss which can be sudden, severe and NU. - The visual loss is unilateral in 46%, sequential in 37% and B/L in 17%. Common in elderly females -Giant cell arteritis is a disease of the elderly and is common in elderly females. Also see Nov 09.for complete topic.